Congestive cardiac failure is diagnosed in an infant by-
1. Basal crepts
2. Elevated JVP
3. Pedal edema
4. Liver enlargement

Correct answer: 4. Liver enlargement

Explanation: Ans. is 'd' i.e., Hepatomegaly o In infants, heart failure may be difficult to identify. o Prominent menifestations include. i) Symptoms Tachypnea, tachycardia Feeding difficulties Poor weight gain Excessive perspiration Irritability Weak, Cry often hoarse Noisy, labored respiration Flaring of alae nasi Intercostal and subcostal retractions ii) Signs Wheezing Hepatomegaly Cardiomegaly Gallop rhythm (S3) Clinical assessment of juglar venous pressure in infants may be difficult because of the shortness of the neck and the difficulty of observing a relaxed state. Edema of face occurs early. Edema on the feet occurs late.